174 Crpc deals with?
1. Magistrate inquest
2. Police inquest
3. Medical Examiner inquest
4. None of the above

Correct answer: 2. Police inquest

Explanation: Important CrPc: 2 Crpc: Gives various definitions (Bailable and non bailable offence, Cognizable and Non Cognizable Offence, summans and warrant case etc.) 39 Crpc: Public to give information of certain offences (e.g. Homicide, kidnapping, robbery etc.) to nearest Magistrate or police officer 53 Crpc: Examination of accused by medical practitioner at the request of police officer (Doctor can examine the arrested person even without his consent) 54 CrPC: Arrested person can himself request the magistrate for his medical examination to get evidence in his favour. 160 Crpc: Police officer has the power to summon any witness including doctor to police station for recording a statement. 174 Crpc: Police Inquest 176 Crpc: Magistrate inquest 416 CrPc: High court may postpone the death sentence of a pregnant woman for any period and can even convert the death sentence to life imprisonment